In case of spasticity, the drug not used is :
1. Diazepam
2. Baclofen
3. Tizanidine
4. Amitryptiline

Correct answer: 4. Amitryptiline